The heart of activated sludge process is
1. Secondary sedimentation tank
2. Primary sedimentation
3. Digestion tank
4. Aeration tank

Correct answer: 4. Aeration tank